Furosemide causes all except :
1. Hyperglycemia
2. Hypomagnesemia
3. Hypokalemia
4. Acidosis

Correct answer: 4. Acidosis